Which collagen produces sheets -
1. I
2. II
3. IV
4. VI

Correct answer: 3. IV

Explanation: Ans. is 'c' i.e., IV Various structure produced by collagensFibrilsSheetsBeaded filamentsAnchoring fibrilsCollagen ICollagen IVCollagen VICollagen VIICollagen 11Collagen VIII Collagen IIICollagen X Collagen V Collagen XI